All of the following are indications for Electroconvulsive therapy except
1. Depression with suicidal tendencies
2. Residual schizophrenia
3. Catatonia
4. Psychotic depression

Correct answer: 2. Residual schizophrenia

Explanation: (B) Residual Schizophrenia # INDICATIONS OF ECT:1. Major Severe Depression with: Suicidal risk (1st & most important indication for ECT); Stupor; Poor intake of food and fluids; Melancholia; Psychotic features; Unsatisfactory response to drug therapy; Drugs are contraindicated, or have serious side-effects; For Speedier recovery.2. Severe Catatonia ("Functional") with: Stupor; Poor intake of food and fluids; Unsatisfactory response to drug therapy; Drugs are contraindicated, or have serious side-effects.; For Speedier recovery.3. Severe Psychoses (Schizophrenia or Mania) with: Risk of suicide, homicide or danger of physical assault; Unsatisfactory response to drug therapy; Drugs are contraindicated, or have serious side-effects; Very prominent depressive features (E.g. Shcizo-affective disorder)4. Suggestive indications (for occasional use): Organic mental disorders (E.g. organic mood syndrome, organic hallucinosis, organic delusional disorder & delirium);> Medical disorders (E.g. Organic catatonia, hypopituitarism, intractable seizure disorder, neuroleptic malignant syndrome & Parkinsonism).> ECT is the treatment of choice in-Acute depression with suicidal tendency.; Anorexia nervosa with strong depression component.